Osteogenesis imperfect defect in -
1. Collagen type I
2. Elastin
3. Collagen type IV
4. basement membrane

Correct answer: 1. Collagen type I

Explanation: Ans. is 'a' i.e., Collagen type I o Osteogenesis imperfecta also known as brittle bone disease, or "Lobstein syndrome" is a congenital bone disorder. o People with 01 are born with defective connective tissue, or without the ability to make it, usually because of a deficiency of Type-I collagen. o This deficiency arises from an amino acid substitution of glycine to bulkier amino acids in the collagen triple helix structure.